Theory of contagion was first enunciated by
1. Paracelsus
2. Fracastorius
3. Vesalius
4. Pare

Correct answer: 2. Fracastorius

Explanation: Revival of medicine encompasses period from 1453 -1600. Fracastorius an Italian physician enunciated 'theory of contagion'. He envisaged transmission of infection minute invisible particles and explained cause of epidemics. He recognised syphilis was transmitted from person to person during sexual relationss. He is founder of epidemiology. Ref: Park's textbook of preventive and social medicine; 23rd edition; Pg no: 5